Which is a clean surgery among the following?
1. Hernia surgery
2. Gastric surgery
3. Cholecystectomy
4. Rectal surgery

Correct answer: 1. Hernia surgery

Explanation: Ans. (a) Hernia surgery(Ref: Sabiston 20th 224 -225)* Hernia Surgery is a clean surgery. Clean surgery is in which operative wound is un infected. No inflammation is encountered